Repeated dislocation of the condyle can be treated by intentional fracture of the zygomatic arch and reunion. This procedure is called as
1. Stobe's method
2. Denkel's method
3. Dautrey procedure
4. Weber's procedure

Correct answer: 3. Dautrey procedure